Pregnant women in 1st trimester is given spiramycin that she does not stick to. Baby born with hydrocephalus infection was by:
1. HSV
2. Treponema pallidum
3. Toxoplasma
4. CMV

Correct answer: 3. Toxoplasma

Explanation: In the question- patient had mild cervical lymphadenopathy for which she was prescribed spiramycin. But the patient was noncompliant and the baby was born with hydrocephalous and intracranial calcification, which are manifestations of congenital toxoplasmosis.